Newborns as compared to adults eliminate lidocaine:
1. More rapidly
2. More slowly
3. Variable
4. Equally fast

Correct answer: 2. More slowly

Explanation: Newborn infants have immature hepatic enzyme systems and hence prolonged elimination of lidocaine, bupivacaine, and ropivacaine. Ref: Miller's anesthesia-7th ed, Chapter 30.